True regarding atrial fibrillation -
1. | Thromboembolism
2. adrenaline treatment
3. Anticoagulant not required
4. Aspirin given

Correct answer: 1. | Thromboembolism

Explanation: thromboembolism is a feature of atrial fibrilation anticoagulant is given but aspirin is not used adrenaline is contraindicated Ref Harrison 20th edition pg 1443